As per WHO low birth weight is defined as -
1. Birthh weight less than 2.5kg
2. Birth weight < 10th percentile
3. Gestational age < 34 weeks
4. Gestational < 28 weeks

Correct answer: 1. Birthh weight less than 2.5kg

Explanation: According to WHO , low birth weight is defined as birth weight of less than 2.5 kg. Hence option 1 is the most appropriate answer. Coming to other options, Option 2- birth weight less than 10th percentile for gestational age is known as small for date babies Option3and 4, Extremely preterm is less than 28 wks Very preterm is 28-32 weeks Moderate to late preterm is 32 to 37 weeks Reference Park's textbook of preventive and social medicine 23rd edition pg 536